In the newborn, the spinal cord ends at-
1. L3
2. S4
3. L5
4. LI

Correct answer: 1. L3

Explanation: answer-A